Buerger's Disease is associated with -
1. Alcoholism
2. Smoking
3. Trauma
4. Cold environment

Correct answer: 2. Smoking

Explanation: Thromboangiitis obliterans (Buerger disease) 

Thromboangiitis obliterans is a distinctive disease that is characterized by segmental, thrombosing acute and chronic inflammation of medium-sized and small-sized arteries, and sometimes secondarily extending to veins and nerves.
Thromboangiitis obliterans occurs almost exclusively among heavy-cigarette-smoking persons.
It is more common in men but the incidence is increasing in women because of increasing smoking habit in women.
Buerger disease is associated with HLA -5 and HLA-A9.
In thromboangiitis obliterans there is acute and chronic segmental inflammation of vessels with accompanied thrombosis in the lumen.
Typically, the thrombus contains microabscesses with a central focus of neutrophils surrounded by granulomatous inflammation.
Later, the inflammatory process extends into contiguous veins and nerves and in time all three structures (arteries, veins and nerves) become encased in fibrous tissue, a characteristic that is very rare with another form of vasculitis.

Clinical manifestations

Thrombangiitis obliterans affects vessels of upper and lower extremities.
Symptoms are due to vascular insufficiency, i.e. Ischemia of toes, feet and fingers that can lead to ulcer and frank gangrene.
Due to neural involvement, there may be severe pain, even at rest.

Buerger disease Vs atherosclerosis

Buerger disease is almost exclusively associated with smoking. Atherosclerosis is also associated with smoking, but it has other predisposing conditions also, e.g. diabetes, hypertension, hypercholesterolemia etc.
Burger disease affects smaller arteries. Atherosclerosis involves larger and medium-sized arteries.
In Atherosclerosis, pain occurs on movement due to vascular insufficiency, while in Buerger disease, pain occurs at rest also due to neural involvement.